The gold standard for the diagnosis of Wilson disease is:
1. Liver biopsy with quantitative copper assay
2. Serum ceruloplasmin along with free copper estimation
3. 24 hour urine copper quantification
4. Liver biopsy and copper staining

Correct answer: 1. Liver biopsy with quantitative copper assay

Explanation: The gold standard for diagnosis is liver biopsy with quantitative copper assays. Affected patients have values > 200 mg/g dry weight of liver tissue. Copper stains are not reliable. Reference: Harrisons Principles of Internal Medicine, 18th Edition, Page 3188